Aspermia is the term used to describe
1. Absence of semen
2. Absence of sperm in ejaculate
3. Absence of sperm motility
4. Occurrence of abnormal sperm

Correct answer: 1. Absence of semen

Explanation: Aspermia- means no semen Azoospermia- no sperm in semen Asthenospermia-no motile sperms or diminished motility 
Teratospermia- abnormal morphology of sperms.